Hyperthermia is seen in :
1. Malignant neuroleptic syndrome
2. Cannabis poisoning
3. Opium intoxication
4. Hypothyroidism

Correct answer: 1. Malignant neuroleptic syndrome

Explanation: The answer is A (Malignant neuroleptic syndrome) :'Malignant Neuroleptic Syndrome is an important cause of Hyperthermia Syndromes'Causes of HyperthermiaHeat StrokeExertional: Exercise in higher-than-normal heat and/or humidityNonexertional: Anticholinergics, including antihistamines; antiparkinsonian drugs; diuretics; phenothiazinesDrug-Induced HyperthermiaAmphetamines, cocaine, phencyclidine (PCP), methylenedioxymethamphetamine (MDMA; "ecstasy"), lysergic acid diethylamide(LSD), salicylates, lithium, anticholinergics, sympathomimeticsNeuroleptic Malignant SyndromePhenothiazines, butyrophenones, including haloperidol and droperidol; fluoxetine; loxapine; tricyclic dibenzodiazepines; metoclopramide; domperidone; thiothixene; molindone; withdrawal of dopaminergic agentsSerotonin SyndromeSelective serotonin reuptake inhibitors (SSRIs), monoamine oxidase inhibitors (MAOIs), tricyclic antidepressantsMalignant HyperthermiaInhalational anesthetics, succinylcholineEndocraniopathyThyrotoxicosis, pheochromocytomaCentral Nervous System Damage--Cerebral hemorrhage, status epilepticus, hypothalamic injury